SAFE strategy is used for
1. Trachoma
2. Onchocerciasis
3. Diabetic retinopathy
4. Glaucoma

Correct answer: 1. Trachoma

Explanation: Trachoma blindness Trachoma is a leading cause of preventable blindness. Effective interventions have been demonstrated in developing nations using the 'SAFE strategy'. SAFE strategy: 'S'urgery to correct lid deformity and prevent blindness, 'A'ntibiotics for acute infections and community control, 'F'acial hygiene, 'E'nvironmental change including improved access to water and sanitation and health education. Reference :- A K KHURANA 7th edition ; page:-447